Patch testing is done for :
1. Atopic dermatitis
2. Irritant contact dermatitis
3. Allergic contact dermatitis
4. Discoid eczema

Correct answer: 3. Allergic contact dermatitis

Explanation: C. Allergic contact dermatitis